Chaga's disease does not involve -
1. Pancreas
2. Duodenum
3. Esophagus
4. Colon

Correct answer: 1. Pancreas